Rollable lens is made up of -
1. PMMA
2. Hydrogel
3. silicone
4. None

Correct answer: 2. Hydrogel

Explanation: Rollable IOLs are ultra thin IOLs. These are implanted through 1mm incision after microincision cataract surgery(MICS). These are made of hydrogel. REF IMG